All of the following are featured of Treacher Collins syndrome, except
1. Anti-mongoloid palpebral fissure
2. Hypoplasia of malar bones and mandible
3. Macrostomia, high palate
4. Osteomas of bone

Correct answer: 4. Osteomas of bone

Explanation: Treacher Collins syndrome or mandibulofacial dysostosis is a group of closely related defects of the head and face, characterised by

Antimongoloid palpebral fissures with a coloboma of the outer portion of the lower eyelid
Hypoplasia of the malar bones and mandible 
Malformation of the external ear
Macrostomia, high palate and malocclusion of teeth
Blind fistulas between angles of ears and angles of the mouth